Protein purification and separation can be done by all, EXCEPT:
1. Chromatography
2. Dialysis
3. Electrophoresis
4. Densitometry

Correct answer: 4. Densitometry

Explanation: Densitometry is the procedure which is used to measure the quantity of the protein. Protein purification and separation can be done by the following methods: Chromatography Dialysis Electrophoresis Centrifugation Precipitation